Carpet tack sign is characteristically seen in
1. DLE
2. SLE
3. Lichen planus
4. Dermatitis herpetiformis

Correct answer: 1. DLE

Explanation: Lupus Erythematosus (LE) Chronic cutaneous LE (discoid LE) * Chronic cutaneous form with involvement typically of face/scalp in young women; | incidence in African American patients * Presents with indurated erythematous thin papules with adherent scale and follicular plugging on face, scalp and/or ears (concha bowl), 'carpet tack' sign (follicular plugs with removal of scale); subsequent atrophy, telangiectasias, dyschromia, scarring (SCC may develop in scars); 1/4 with oral involvement; no systemic symptoms or extracutaneous involvement; rarely may see widespread discoid involvement (| serologic abnormalities have | likelihood to develop SLE). Ref:- Sima Jain; pg num:-137